Fastest acting Antithyroid medication is:
1. Pottasium iodide
2. Propylthiouracil
3. Carbimazole
4. Methamizole

Correct answer: 1. Pottasium iodide

Explanation: Pottasium iodide